P4 pf vagina during reproductive life is
1. Alkaline
2. Acidic
3. Neutral
4. Variable

Correct answer: 2. Acidic

Explanation: Vaginal secretion is acidic during reproductive life which is oestrogen dependent, and inhibits growth of pathogenic organisms.